Winter bottom's sign is typically seen in
1. Muconium peritonitis
2. Kala Azar
3. American trypanosomiasis
4. African trypanosomiasis

Correct answer: 4. African trypanosomiasis